True stereopsis is perceived due to the following-
1. Overlay of contours
2. Motion parallax
3. Bi- nasal disparity
4. Linear perspective

Correct answer: 3. Bi- nasal disparity

Explanation: Stereopsis is defined as the relative ordering of visual objects in depth, that is, in the third dimension.
It will be very lengthy to explain the physiology of stereopsis here. You remember following facts about stereopsis:-

It is the visual perception of three dimensions during binocular vision.
Nasal disparity (binasal disparity) gives the impression of remoteness of an object.
Temporal disparity (bitemporal disparity) gives the impression of nearness of an object.